Before inserting the loaded tray with impression compound the temperature is usually checked:
1. Against the back of operator’s hand
2. Against the hand of patient
3. By placing directly in mouth
4. By immersion in boiling water

Correct answer: 1. Against the back of operator’s hand